The ideal tooth - blade working angulation of a Blade of Gracey curette is angled from lower shank approximately at
1. 10 - 20 degree
2. 40 - 50 degree
3. 60 - 70 degree
4. 80 - 90 degree

Correct answer: 3. 60 - 70 degree